Bleuler's symptoms for schizophrenia are all except
1. Loosening of association
2. Affect disturbances
3. Autism
4. Hallucinations

Correct answer: 4. Hallucinations

Explanation: Eugen Bleuler's Fundamental Symptoms of Schizophrenia (Also called as 4 A's of Bleuler) 1. Ambivalence: Marked inability to decide for or against 2. Autism: Withdrawal into self 3. Affect disturbances: Disturbances of affect such as inappropriate affect 4. Association disturbances: Loosening of associations; thought disorder Ref: A Short Textbook of Psychiatry, Niraj Ahuja, 7th Edition, pg. no. 55